Arterial supply of hippocampus?
1. Medial striate artery from middle cerebral artery
2. Lateral striate artery from middle cerebral artery
3. Anterior choroidal artery
4. Anterior cerebral artery

Correct answer: 3. Anterior choroidal artery

Explanation: Internal carotid artery gives anterior choroidal artery, which branches & form anterior hippocampal artery. Posterior cerebral artery gives branches to middle & posterior hippocampal artery. Internal capsule & basal ganglia is supplied by the lenticulostriate branches of middle cerebral artery. Ischemia to hippocampus causes anterograde amnesia